Drug which have positive effect on lipid profile
1. Atenolol
2. Hydrochlorothiazide
3. Furosemide
4. Prazosin

Correct answer: 4. Prazosin

Explanation: Alpha 1 adrenergic blocker prazosin has a protective action on lipid profile. Increase in HDL and decrease in LDL Beta blockers and thiazide diuretics derange the lipid profile. Diuretics mainly thiazide causes hyperlipidemia